Essential pentosuria is due to defect in
1. HMP pathway
2. Glycolysis
3. Gluconeogenesis
4. Uronic acid pathway

Correct answer: 4. Uronic acid pathway

Explanation: It is an inborn error of metabolism.In the pathway, L-xylulose is converted to D-xylulose by two enzymes, xylitol dehydrogenase, and xylulose reductase.Absence of any of these enzymes leads to pentosuria.Ref: DM Vasudevan, 7th edition, page no: 135